Which of the following drugs does not act by blocking Gp IIb/IIIa receptors?
1. Abciximab
2. Eptifibatide
3. Tirofiban
4. Clopidogrel

Correct answer: 4. Clopidogrel

Explanation: Ans. (D) Clopidogrel(Ref: KDT 8/e p678)Clopidogrel inhibits ADP receptors whereas abciximab, tirofiban and eptifibatide are GP IIb/IIIa antagonists.